In a subclavian artery block at outer border of 1st rib, all of the following arteries help in maintining the circulation to upper limb except?
1. >Subscapular artery
2. >Superior thoracic artery
3. >Thyrocervical trunk
4. >Suprascapular artery

Correct answer: 2. >Superior thoracic artery

Explanation: Superior thoracic artery[Ref: BDC 4/e, Vol 1, p 56, 82; Snell's Clinical Anatomy 6/e, p 412-413, 657; Moore Clinical Anatomy 5/e, p 766-767JA rich anastomosis exists around the scapula between branches of subclavian artery (first part) & the axillary artery (third part).This anastomosis provides a collateral circulation through which blood can flow to the limb when the distal part of subclavian artery or the proximal part of axillary artery is blocked.Anastomosis around the scapula : Formed by branches of?Subclavian artery - first part - Suprascapular artery - Deep branch of transverse cervical arteryAxillaty artery - third part - Subscapular artery & its circumflex scapular branchThere are other smaller anastomoses over the acromion process, which also helps to maintain .11ow to arm. (BDC Vol 1, 4/e, p 82)Anastomoses over the acromion process: Formed by -a)Acromial br. of thoraco-acromial arteryb)Acromial br. of suprascapular arteryc)Acromial br. of posterior circumflex humeral arteryThe subscapular artery also forms anastomoses with intercostal arteries.Review of subclavian & axillary artery: The subclavian artery is divided into 3 parts by scalenus anterior muscle; the l' part is proximal to the muscle; 2" part is posterior; and the 3rd part is distal to the muscle upto outer border of the first rib, after which it becomes the axillary artery.The axillary artery, a continuation of the subclavian artery, begins at the outer border of the first rib, and ends at the inferior border of teres major where it becomes the brachial artery. Pectoralis minor crosses it and divides it into three parts which are proximal, posterior and distal to the muscle.